A diabetic patient developed cellulitis due to staphylococcus aureus, which was found to be Methicillin resistant on the antibiotic sensitivity testing. All the following antibiotics will be appropriate except-
1. Vancomycin
2. Imipenem
3. Teichoplanin
4. Linezolid

Correct answer: 2. Imipenem

Explanation: Ans. is 'b' i.e., Imipenem "The carbapenem imipenem has excellent activity against methicillin-sensitive S.aureus but not MRSA." MRSA is resistant to all beta-lactam antibiotics because resistance develops due to alteration in transpeptidase (penicillin binding protein) on which all beta-lactam antibiotics act. Drugs for MRSA --> Vancomycin (DOC), Ciprofloxacin Quinopristin/dalfopristin Tigecyclin TMP-SMX Linezolid Daptomycin Teicoplanin Minocyclin Levofloxacin Oritavaccin Cotrimoxazole